Which of the following diuretics keeps urine "isotonic"?
1. Thiazide diuretics
2. Loop diuretics
3. Carbonic anhydrase inhibitors
4. None of the above

Correct answer: 2. Loop diuretics

Explanation: Loop diuretics decreases both positive and negative water clearance and keeps urine isotonic.